Commonest histoloical finding in Benign Hypertension is:
1. Proliferative endarteritis
2. Necrotizing arteriolitis
3. Hyaline arteriosclerosis
4. Cystic Medial Necrosis

Correct answer: 3. Hyaline arteriosclerosis

Explanation: Answer is C (Hyaline Arteriosclerosis) : The charachteristic histological finding in Benign Hypertension is Hyaline arteriosclerosis Benign Nephrosclerosis This term is used to describe the changes in kidney associated with associated with benign phase of hypertension malignant or accelerated hypertension Kidney size is either normalQ or may be moderately reducedQ Grain leather appearanceQThe cortical surface has a fine even granularity Kidney size is variableQ May be smaller in size() (when superimposed on benign nephrosclerosis) or Larger in size (enlarged)Q than normal (patients who develop malignant hypertension in pure form) Flea bitten appearanceQ: The cortical surface may show multiple small peticheal haemorrhagesQ from rupture of arterioles or glomerular capillaries. Microscopic (Vascular Changes & Parenchymal Changes) Hyaline ArteriosclerosisQ Narrowing of the lumens of arterioles and small arteries caused by thickenning and hyalnization of the walls Fibroelastic HyperplasiaQ: in the intima (intimal thickenningQ, duplication of elastic lamina and hypertrophy of the 'media' Parenchymal changes (due to ischaemic) Variable degree of Atrophy of parenchyma due to ischaemia Microscopic (Vascular Changes & Parenchymal Changes) Fibrinoid necrosis of arteriolesQ (Necrotizing arteriolitisQ The vessel wall shows fibrinoid necrosis. Represents an acute event and necrosis is usually not accompanied by intense inflammation Hyperplastic intimal sclerosisQ Onion -- SkinningQ Concentric laminae of proliferated smooth muscle cells, collagen and basement membrane (producing intimal thickenning) Parenchymal changes (due to ischaemia) Variable degree of atrophy ofparanchyma due to ischaemia. Infarction necrosis distal to abnormal vessels may be seen